Chilled shot is made up of:-
1. Lead only
2. Lead with antimony
3. Lead with copper
4. Lead with nickel

Correct answer: 2. Lead with antimony

Explanation: There are three types of lead shot depending on the composition: i. Drop/soft shot: Made with pure lead. ii. Chilled/hard shot: Lead is hardened by the addition of antimony. iii. Plated shot: It is coated with a thin coat of copper or nickel to minimize distortion on firing--maintains good aerodynamic shape and increase the range.